Which of the following biochemical test is ideal for identification of Neisseria gonorrhea?
1. Sucrose fermentation test
2. Oxidase test
3. Penicillin resistant test
4. Coagulase test

Correct answer: 2. Oxidase test

Explanation: The Neisseria produce oxidase and give positive oxidase reactions. The oxidase test is a key test for identifying them. When bacteria are spotted on a filter paper soaked with tetramethyl paraphenylenediamine hydrochloride (oxidase), the neisseriae rapidly turn dark purple.Reference: Jawetz, Melnick, & Adelberg's Medical Microbiology; 27th edition; Chapter 20; The Neisseriae